Treatment of tinea unguium
1. Fluticasone
2. Itraconazole
3. Oleamine oil
4. All

Correct answer: 2. Itraconazole

Explanation: B i.e. Itraconazole